Which one of the following is NOT true of Ameloblastoma -
1. Most common odontogenic tumour
2. Generally benign
3. Common in 3rd to 5th decade
4. Arises from mesenchymal tissue

Correct answer: 4. Arises from mesenchymal tissue

Explanation: Ameloblastoma

Ameloblastoma is the most common benign odontogenic tumor.
It is benign but locally invasive.
It is common in the 3rd to 5th decades of life.
Preferential sites are the mandible in the molar-ramus area and maxilla.
The tumor is epithelial in origin - arises from the dental epithelium of enamel.
Tumor with a histologic resemblance to ameloblastoma can occur occasionally in the long bone, like adamantinoma of the tibia.